Pale infarct is seen in all except:
1. Lungs
2. Spleen
3. Kidney
4. Heart

Correct answer: 1. Lungs

Explanation: The Lungs have dual blood supply and so, they exhibit red infarct. The infarcts may be either red (hemorrhagic) or white (anemic) and may be either septic or bland.
All infarcts tend to be wedge shaped with the occluded vessel at the apex and the periphery of the organ forming the base. The infarct microscopically has features of ischemic coagulative necrosis.